All of the following are anti-craving agents for alcohol withdrawal Except
1. Fluoxetine
2. Nitrafezole
3. Naltrexone
4. Acamprosate

Correct answer: 2. Nitrafezole

Explanation: Nitrafezole. Disulfiram, Metronidazole and Nitrafezole are deterrents.